Catheter ablation for the management option for Supraventricular Tachycardia (SVT) and is usually done under which of the following?
1. Local anaesthesia
2. General Anaesthesia
3. GA with muscle relaxants
4. Anaesthesia not indicated

Correct answer: 1. Local anaesthesia

Explanation: Catheter ablation provides a definitive management option for SVT and is usually done under local anaesthesia as a day case. Catheters capable of recording electrical activation in the heart are inserted the femoral vessels and manipulated under x ray guidance. Radiofrequency energy delivered a catheter is used to create small localised areas of scar. In AVNRT, the slow pathway is targeted with the aim of modifying conduction so that re-entrant tachycardia can no longer be sustained. Both acute and long term success rates for this procedure are high. AV is also amenable to catheter ablation. Focal atrial tachycardia can also be successfully treated with catheter ablation For re-entrant atrial tachycardias, radiofrequency ablation has high success rates and is often used as first line treatment Radiofrequency ablation is the treatment of choice for typical atrial flutter. Ref: Feldman A, Voskoboinik A, Kumar S, Spence S, Moon JB, Kistler PM, et al. Predictors of acute and long-term success of slow pathway ablation for atrioventricular nodal reentrant tachycardiaPacing Clin Electrophysiol2011;34:927-33.CrossRefMedline; Ganz LI, Friedman PL. Supraventricular tachycardia. N Engl J Med1995;332:162-73.CrossRefMedlineWeb of Science; Diagnosis and management of supraventricular tachycardia ; BMJ 2012;345:e7769.